Cvek pulpotomy:
1. Cervical pulpotomy
2. Partial pulpotomy
3. Formocresol pulpotomy
4. Glutaradehyde pulpotomy

Correct answer: 2. Partial pulpotomy

Explanation: Partial pulpotomy is also termed as “Cvek pulpotomy”, it implies removal of the coronal pulp tissue to the level of healthy pulp.
Cervical pulpotomy involves the removal of entire coronal pulp to the level of root orifices.